Source of ribose is
1. HMP shunt
2. Glycolytic pathway
3. Uronic acid pathway
4. Beta oxidation

Correct answer: 1. HMP shunt

Explanation: By-products of HMP Shunt pathway are NADPH and riboseRef: DM Vasudevan; 7th edition; Page no: 130